Drugs that reduce the size of fibroid are:a) Danazolb) GnRH analogc) RU-486d) Estrogene) Progesterone
1. ab
2. bc
3. acd
4. abc

Correct answer: 4. abc